Growth plate of a long bone is supplied by
1. Metaphyseal artery
2. Nutrient artery
3. Epiphyseal artery
4. Periosteal artery

Correct answer: 3. Epiphyseal artery

Explanation: Epiphyseal artery supplies Epiphysis and Growth plate.